In triple response, flare is mediated by which reflex?-
1. Axon reflex
2. Capillary reflex
3. Arterial reflex
4. Venous reflex

Correct answer: 1. Axon reflex

Explanation: The triple response of Lewis is a cutaneous response that occurs from firm stroking of the skin, which leads to the following sequence of events.
1) Red spot: due to capillary dilatation
2) Flare: redness in the surrounding area due to arteriolar dilatation mediated by axon reflex.
3) Wheal: due to exudation of fluid from capillaries and venules
The triple response of Lewis is due to the release of histamine.